A patient with previously normal heamoglobin suffered a sudden massive acute hemorrhage. He is most likely to show all of the following except -a) High reticulocyte countb) High neutrophil countc) High packed cell volumed) Low mean corpuscular volume
1. ab
2. bc
3. bd
4. cd

Correct answer: 4. cd